The Condylar Cartilage in the mandible is held to be a
1. Primary cartilage
2. Secondary cartilage
3. Tertiary cartilage
4. Non-growing cartilage

Correct answer: 2. Secondary cartilage